Prostate specific antigen is used as
1. Tumor marker
2. Proto oncogene
3. Oncogene
4. Bacterial antigen

Correct answer: 1. Tumor marker